A child with subluxation of lens and intellectual disability died. Which of the following would have helped in his treatment?
1. Biotin
2. Pyridoxine
3. Zinc
4. Riboflavin

Correct answer: 2. Pyridoxine

Explanation: Subluxation of lens and intellectual disability in a child who died suggests underlying homocystinuria Pyridoxine (vitamin B6) is useful in its treatment